A patient with Childs C score with repeated episodes of variceal bleeding with ascites. Treatment of choice:
1. Liver transplant
2. TIPS
3. EVL
4. Surgical shunt

Correct answer: 1. Liver transplant

Explanation: This patient is having cirrhosis; complication is portal hypertension manifested in the form of variceal bleeding with ascites. Childs class 'C' score means no surgical intervention should be done-Best treatment is liver transplantation Class A 5-6 points Class B 7-9 points Class C 10-15 points Major surgeries can be done only in class A Only minor surgical procedures can be performed in class B